Nerve supply for adductor compartment of thigh is by
1. Femoral nerve
2. Obturator nerve
3. Superior gluteal nerve
4. Inferior gluteal nerve

Correct answer: 2. Obturator nerve

Explanation: (B) Obturator Nerve # OBTURATOR NERVE (L2, L3, L4) is the chief nerve of the medial compartment of the thigh.> It is a branch of the lumbar plexus.> It enters the thigh by passing through the obturator canal.> Anterior division of obturator nerve supplies the following muscles: Pectineus Adductor longus Gracilis Adductor brevis> Posterior division of obturator nerve supplies following muscles: Obturator externus Adductor magnus Adductor brevis